All are TRUE about Mammography, EXCEPT:
1. Low energy X rays are used
2. It is a screening and diagnostic tool
3. High positive predictive value
4. Specificity of mammography is 95%

Correct answer: 3. High positive predictive value

Explanation: Mammography has a relatively low positive predictive value and result in high percentage of biopsy results negative for malignant growth. Mammography is widely used as a screening test for early identification of breast cancer. It is the most effective method for the detection of calcifying early stage breast cancer and has a high sensitivity for the detection of suspicious masses in fatty and fibroglandular breast tissue. Low energy X rays used in mammography produces high contrast images that differentiate normal breast tissue from possible abnormalities. It has a high specificity of 90-95%.